True regarding mycobacterium tuberculosis is -
1. Produces visible colonies in 1 weeks time on Lowenstein-Jensen media
2. Decolorised by 20% sulfuric acid
3. Facultative aerobe
4. Niacin positive

Correct answer: 4. Niacin positive